All of them use non–ionizing radiation except –
1. Ultrasonography
2. Thermography
3. MRI
4. Radiography

Correct answer: 4. Radiography

Explanation: Radiography uses X-ray, which is ionizing radiation.